There has been an outbreak of H1N1 influenza in your locality. You are the medical officer of the health centre. A 11 month old child of a woman, who had died due to H1N1 has been brought to you with symptoms of URTI. Which of the following is the appropriate antiviral regime of the child?
1. Oseltamivir 3 mg/kg BID x 5 days
2. Oseltamivir 2 mg/kg BID x 5 days
3. Zanamivir 10 mg BID x 5 days
4. Zanamivir 5mg BID x 5 days

Correct answer: 1. Oseltamivir 3 mg/kg BID x 5 days

Explanation: Zanamivir is indicated in individuals > 5 year of age only. The dose is 5 mg inhalation (twice) two times a day for 5 days. The dosage of Oseltamivir for children 0 - 1 month of age 2 mg/kg BID x 5 days >1 month - 3 months 2.5 mg/kg BID x 5 days > 3 month - 1 year 3 mg/kg BID x 5 days Ref: Park, 21st Edition, Page 148.